A baby placed in the prone position is able to lift the head and upper chest on extended arms by?
1. 1 month
2. 3 months
3. 6 months
4. 9 months

Correct answer: 3. 6 months

Explanation: Ans. (c) 6 MonthsRef: OP Ghai 8th ed./154* Head lag disappears by 3 months* Head control is achieved by 4 months* A child in prone position at 3 months can lift chin off the bed, but it takes a while for the shoulder muscles to develop sufficient strength so as to lift the chest and head off the bed. This activity would be possible by 6 months* Wave bye-bye by 9 months* Stand without support at 12 months* And can run by 18 months